Maximum "Endocapillary Proliferation" is seen in:
1. Membranous glomerulonephritis
2. Mesangioproliferative glomerulonephritis
3. Focal segmental glomerulonephritis
4. Post streptococcal

Correct answer: 4. Post streptococcal

Explanation: Post streptococcal